IgE is secreted by
1. Mast cell
2. Basophils
3. Eosinophils
4. Plasma cells

Correct answer: 4. Plasma cells

Explanation: All the antibodies are secreted by plasma cells.IgE is also secreted by plasma cells Mast cellsexpress a high-affinity receptor (FceRI) for the Fc region ofIgE. hence mostly mast cellsare found coated with IgE . It is mostly extravascular in distribution*Normal serum contains only traces (a few nanogramsper ml) but greatly elevated levels are seen in atopic(type 1 allergic) conditions such as, hay fever and eczema.